Gastric ulcer type III is located at:
1. Lesser curvature
2. Body
3. Prepyloric region
4. GE junction

Correct answer: 3. Prepyloric region

Explanation: Modified Johnson's Classification of Gastric Ulcer Type Location Acid Secretion I Lesser curvature, near incisure angularis (MC) Low II Body of the stomach and duodenum High III Prepyloric (Within 2-3 cm of the pylorus) High IV High on the lesser curve, near GE junction Low V Anywhere, induced by medication (NSAIDs) Low